Deletion of chromosome 11 leads to -
1. Wilm's
2. Neuroblastoma
3. Retinoblastoma
4. Osteosarcoma

Correct answer: 1. Wilm's

Explanation: Ans. is 'a' i.e., Wilms's tumor